A 24 years old male, who has been having feverfor 15 days starts having acute pain and distension of abdomen. Abdominal examinationreveals generalised tenderness with guarding. The most likely diagnosis is
1. Acute appendicitis
2. Acute pancreatitis
3. Enteric perforation
4. Duodenal ulcer perforation

Correct answer: 3. Enteric perforation

Explanation: Ans. is 'c' i.e., Enteric perforation